Which one of the following anaesthetic agents causes a rise in the Intracranial pressure:
1. Sevoflurane
2. Thiopentone sodium
3. Lignocaine
4. Propofol

Correct answer: 1. Sevoflurane

Explanation: Intracranial pressure is increased at high inspired concentration of sevoflurane but this effect is minimal over the 0.5-1MAC range. Ref: Textbook of Anaesthesia By Aitkinhead, 4th Edition, Page 159; Clinical Anesthesiology By Morgan, 3rd Edition, Pages 138, 558